The following are selective beta blockers except
1. Pindolol
2. Bisoprolol
3. Esmolol
4. Acebutolol

Correct answer: 1. Pindolol

Explanation: Pindolol is nonselec ve b-blocker with intrinsic sympathomimetic activity